Waste in yellow plastic bags are treated by
1. Incineration
2. Autoclaving
3. Microwaving
4. Shredding

Correct answer: 1. Incineration

Explanation: Waste such as anatomical waste , solid waste,soiled waste , chemical waste is collected in yellow coloured bag and treated and disposed by incineration